False regarding Endrin
1. Least toxic organochlorine
2. Also known as plant penicillin
3. Has kerosene like smell
4. Resists putrefaction

Correct answer: 1. Least toxic organochlorine

Explanation: ENDRIN: MOST toxic organochlorine Also known as plant penicillin Has kerosene like smell Resists putrefaction